Following delivery, urinary bladder becomes a pelvic organ after:
1. 4 years
2. 6 years
3. 10 years
4. puberty

Correct answer: 4. puberty

Explanation: Ans. is 'd' i.e., PubertyIn infant and children the urinary bladder, even when empty, is in the abdomen.It begins to enter the greater pelvis at about 6 years of age, but it does not enter the lesser pelvis and become a pelvic organ until after puberty.